Cesarean section is absolutely indicated in :
1. Previous H/0 LSCS
2. Type IV placenta previa
3. Type II placenta previa
4. Past H/o hysterotomy

Correct answer: 2. Type IV placenta previa

Explanation: Type IV placenta previa